Centrally located cavitating lung lesion is most likely to be –
1. Sarcoma
2. Small cell carcinoma
3. Adenocarcinoma
4. Squamous cell carcinoma

Correct answer: 4. Squamous cell carcinoma

Explanation: A most common type of lung carcinoma which is associated with cavitation is squamous cell carcinoma. Squamous cell carcinoma is central in location.